Culture media are sterilized by -
1. Autoclaving
2. Beta- radiation
3. Hot air oven
4. All

Correct answer: 1. Autoclaving

Explanation: Ans. is 'a' i.e., Autoclaving